In transverse lie presentation is
1. Vertex
2. Breech
3. Brow
4. Shoulder

Correct answer: 4. Shoulder

Explanation: In transverse lie shoulder presentation is seen